The small intestine has three histologically distinct regions. Which of the following statements concerning the histological differences in the three regions is true?
1. Peyer patches are present only in the ileum
2. Goblet cells are present only in the epithelium of the duodenum
3. Brunner glands are located in the duodenum and jejunum but not the ileum
4. Lacteals are present only in the lamina propria of the ileum

Correct answer: 1. Peyer patches are present only in the ileum

Explanation: The primary histological differences in the three regions of the small intestine are the presence of : Peyer patches in the lamina propria of the ileum Brunner glands in the submucosa of the duodenum. Goblet cells are present throughout the small intestine. Lacteals are the Lymphatic vessels of small intestine which absorb digested fats and are present throughout the small intestine.